When solid gets wet completely, the contact angle is:
1. 90°
2. 0°
3. 0 — 90°
4. >90°

Correct answer: 2. 0°